Treatment is not required in withdrawal of -a) Cannabisb) Alcoholc) Amphetamined) LSD
1. b
2. c
3. ac
4. ad

Correct answer: 4. ad

Explanation: Clinically significant withdrawal syndrome (requires treatment) :- Alcohol, opioids, amphetamines, Barbiturates, BZDs, Nicotine.
No or minimal clinically significant withdrawal syndrome (requires no treatment) :- LSD (nil), Cannabis (minimal).